On exertion urine stream increases in -
1. Prostate enlargement
2. Marion's disease
3. Post. urethral valves
4. Urethral stricture

Correct answer: 4. Urethral stricture